Quetlet index, used to assess obesity, is represented as ?
1. Weight divided by Height
2. Height divided by weight
3. Weight divided by square of Height
4. Height divided by square of weight

Correct answer: 3. Weight divided by square of Height

Explanation: Ans. is 'c' i.e., Weight divided by square of Height